Which of the following is not a bronchodilator ?
1. Beta 2 agonists
2. Methylaxanthines
3. Steroids
4. Anticholinergic

Correct answer: 3. Steroids